Number of primodial follicles in ovary at birth are?
1. 2 million
2. 6 million
3. 5 million
4. 10 million

Correct answer: 1. 2 million

Explanation: Ans. is 'a' i.e., 2 million In humans, no new ova are formed after birth. During fetal development, the ovaries contain over 7 million primordial follicles. However, many undergo atresia (involution) before birth and others are lost after birth. At the time of birth, there are 2 million ova, but 50% of these are atretic. The million that are normal undergo the first part of the first meiotic division at about this time and enter a stage of arrest in prophase in which those that survive persist until adulthood. Atresia continues during development, and the number of ova in both of the ovaries at the time of puberty is less than 300,000. Only one of these ova per cycle (or about 500 in the course of a normal reproductive life) normally reaches maturity; the remainder degenerate.